All of the following are seen in reckets, except -
1. Bow legs
2. Gunstock deformity
3. Pot belly
4. Cranio tabes

Correct answer: 2. Gunstock deformity

Explanation: Gun stock deformity is a form of cubitus varus resulting from malunion of supracondylar or condylar fracture at the elbow in which the axis of the extended forearm is not continuous with that of the arm but is displaced toward midline.